Which is not a feature of the posterior urethral valve –
1. Palpable bladder
2. Painful stress incontinence
3. Recurrent UTI
4. Hydronephrosis

Correct answer: 2. Painful stress incontinence

Explanation: Back pressure in posterior urethral valve causes hydronephrosis and distended bladder.
There is thin urinary stream and urinary stasis causes recurrent UM.